The most common fluoride agent used in dentifrices are
1. Sodium monofluoro phosphate
2. Amine fluoride
3. Sodium fluoride in organic base
4. Sodium fluoride in orthophosphoric acid

Correct answer: 1. Sodium monofluoro phosphate